Characterized by chronic, multiple tics ?
1. Parkinson's disease
2. Wilson's disease
3. Shy-Drager syndrome
4. Tourette's syndrome

Correct answer: 4. Tourette's syndrome

Explanation: Ans. D. Tourette's syndromeTourette syndrome (also called Tourette's syndrome, Tourette's disorder, Gilles de la Tourette syndrome, GTS or, more commonly, simply Tourette's or TS) is an inherited neuropsychiatric disorder with onset in childhood, characterized by multiple physical (motor) tics and at least one vocal (phonic) tic.